Health promotion comes under:
1. Primary level of prevention
2. Secondary level of prevention
3. Tertiary level of prevention
4. Primordial prevention

Correct answer: 1. Primary level of prevention

Explanation: Ans. A i.e. Primary level of prevention Primary Prevention It is used before the person gets the disease. Primary prevention aims to prevent the disease from occurring. So primary prevention reduces both the incidence and prevalence of a disease. Encouraging people to protect themselves from the sun's ultraviolet rays is an example of primary prevention of skin cancer. Secondary Prevention Secondary prevention is used: -- After the disease has occurred, but -- Before the person notices that anything is wrong. A doctor checking for suspicious skin growths is an example of secondary prevention of skin cancer. The goal of secondary prevention is to find and treat disease early. In many cases, the disease can be cured. Tertiary Prevention Tertiary prevention targets the person who already has symptoms of the disease The goals of tertiary prevention are: Prevent damage and pain from the disease - Slow down the disease - Prevent the disease from causing other problems (These are called "complications.") - Give better care to people with the disease - Make people with the disease healthy again and able to do what they used to do Developing better treatments for melanoma is an example of tertiary prevention. Examples include better surgeries, new medicines, etc.